The treatment of choice in diagnosed ventricular fibrillation is
1. Amiodarone
2. External cardiac massage
3. DC shock
4. Adrenaline

Correct answer: 3. DC shock

Explanation: Defibrillation.The delivery of an electrical shock through the chest wall to the heart momentarily stops the heart and the chaotic rhythm. This often allows the normal heart rhythm to resume. If a public-use automated external defibrillator (AED) is available, anyone can administer it. Most public-use AEDs voice instructions as you use them. Public-use AEDs are programmed to recognize ventricular fibrillation and send a shock only when needed.